The following organism because of its easy culture methods is widely used as bacteriology indicator of water pollution –
1. Foecal streptococci
2. Escherichia coli
3. Clostridium perfringens
4. Salmonella Typhi

Correct answer: 2. Escherichia coli